The largest embrasure in posterior teeth is the:
1. Buccal
2. Distal
3. Lingual
4. Occlusal

Correct answer: 3. Lingual